MCH class 3 genes encodes
1. Complement components C3
2. Tumor necrosis factor
3. IL2
4. Beta 2microglobulin

Correct answer: 2. Tumor necrosis factor

Explanation: Ref Robbins 9/e p194-195 Anantha Narayana 6/e p121; Harrison 17/e p2047 Class III molecules include several secreted proteins with immune functions: components of the complement system (such as C2, C4, and B factor), cytokines (such as TNF-a, LTA, and LTB), and heat shock proteins.